Brain abscess in cyanotic heart disease is commonly located in
1. Cerebellar hemisphere
2. Thalamus
3. Temporal lobe
4. Parietal lobe

Correct answer: 4. Parietal lobe

Explanation: Brain abscesses in congenital cyanotic heart diseases occur due to hematogenous seeding of bloodborne bacteria. These blood borne bacteria bypass the pulmonary capillary bed d/t right to left shunt. They commonly infect parietal & frontal lobes (territory of middle cerebral artery).